The most common cause of Pulmonary thromboembolism -
1. DIC
2. Coagulation Disorder
3. DVT
4. Venous Hypertension

Correct answer: 3. DVT

Explanation: Ans. is 'c' i.e., DVT o The most common cause of pulmonary thromboembolism is deep venous thrombosis.